Tooth movement is primarily a phenomenon involving:
1. Pulp
2. Periodontal ligament
3. Dentin
4. Cementum

Correct answer: 2. Periodontal ligament

Explanation: PDL ligament is primarily associated with orthodontic tooth movement.